Black water fever is caused by:
1. Plasmodium vivax
2. Plasmodium falciparum
3. Leishmania donovani
4. Microfilaria

Correct answer: 2. Plasmodium falciparum